Black fly Transits
1. Filaria
2. Onchocerciasis
3. Changes disease
4. Oroya fever

Correct answer: 2. Onchocerciasis